Ramsted's operation is for -
1. Duodenal atresia
2. Volvulus of small intestine
3. Anorectal malformation
4. Congenital pyloric stenosis

Correct answer: 4. Congenital pyloric stenosis

Explanation: Ans. is 'd' i.e., Congenital pyloric stenosis